Ramu, 40-year-old male, chronic alcoholic, diagnosed as cirrhosis, presents with a lump in the right lobe of liver. Serum AFP level is normal. Most probable diagnosis is:
1. Fibro hyperplasia
2. Hepatocellular carcinoma
3. Secondaries
4. Hepatocellular adenoma

Correct answer: 2. Hepatocellular carcinoma

Explanation: Ans. (b) Hepatocellular carcinoma* Cirrhotic background - Any SOL think of HCC first.* AFP is raised only in 70% cases of HCC - 30% cases it will be normal.